Total body water constitute what percentage of Body Weight
1. 80%
2. 60%
3. 33%
4. 25%

Correct answer: 2. 60%